A patient of hypertension on ACE inhibitors developed rosea skin erruptions. True statement regarding this situation is
1. Drug may be the cause and discontinuation may improve the skin condition
2. High dose steroids are needed initially
3. ACE inhibitors are safe and cannot lead to skin erruptions.
4. Drug may be the cause discontinuation is not required

Correct answer: 1. Drug may be the cause and discontinuation may improve the skin condition

Explanation: A i.e. Drug may be the cause and discontinuation may improve the skin condition